The drug of choice for obsessive compulsive disorder
1. Impiramine
2. Fluoxetine
3. Chlorpromazine
4. Benzodiazepine

Correct answer: 2. Fluoxetine

Explanation: Fluoxetine (Ref. Harrison Ohle p 25521The drug of choice for obsessive compulsive disorder is Fluoxetine.